Deep peroneal nerve supplies which of the following?
1. 1st web space of foot
2. 5th web space of foot
3. Antero lateral dorsum of foot
4. Lateral part of leg

Correct answer: 1. 1st web space of foot

Explanation: Deep peroneal nerve passes underneath extensor retinaculum, sends a motor branch to Extensor digitorum brevis, and finally sends a sensory branch to the interspace between the first and second toes. It is derived from the common peroneal (fibular) nerve, which is made of the dorsal branches of L4 and L5. Ref: Morton D.A., Foreman K.B., Albertine K.H. (2011). Chapter 37. Leg. In D.A. Morton, K.B. Foreman, K.H. Albertine (Eds), The Big Picture: Gross Anatomy